Apgar scores were 3, and 6 at 1 and 5 minutes. At 10 Apgar scores were 3, and 6 at 1 and 5 minutes. At 10 minutes child shows features of breathlessness,on CXR-mediastinal shift was there, possible causes – 
a) Bilateral choanal atresiab) Pneumothoraxc) Congenital diaphragmatic herniad) Hyaline membrane disease
1. a
2. bc
3. ac
4. ad

Correct answer: 2. bc

Explanation: Congenital diaphragmatic hernia and pneumothorax cause respiratory distress with mediastinal shift to contralateral side.
Bilateral choanal atresia and HMD cause respiratory distress, but no mediastinal shift.